All help in diagnosis of ectopic pregancy except:
1. Culdocentesis
2. Flat abdominal plate
3. USG abdomen
4. Positive UPT

Correct answer: 2. Flat abdominal plate

Explanation: Ans: b (Flat abdominal plate)Ref: William's Obstetrics, 23rd ed., chapter 10Rapid and accurate determination of pregnancy is essential in evaluating women with complaints suggestive of ectopic pregnancy.Enzyme-linked immunosorbent assays (ELISAs) for betahCG are sensitive to levels of 10 to 20 mIU/mL and are positive in greater than 99 percent of ectopic pregnanciesSonography is the most accurate tool for diagnosis of ectopic pregnancy as it helps in the localization of the gestational sac and the site of rupture and haemoperitneum.On Sonography, there is a characteristic absence of gestational sac in the uterine cavity as well as absence fluid in the pouch o douglas and the presence of haemoperitoneum. In cases of an obvious rupture, the fallopian tube site can also be made out on TVS.This simple technique was used commonly in the past to identify haemoperitoneum. The cervix is pulled toward the symphysis with a tenaculum, and a long 16- or 18-gauge needle is inserted through the posterior vaginal fornix into the cul-de-sac. If present, fluid can be aspirated, however, failure to do so is interpreted only as unsatisfactory entry into the cul-de-sac and does not exclude an ectopic pregnancy, either ruptured or unruptured. Fluid containing fragments of old clots, or bloody fluid that does not clot, is compatible with the diagnosis of hemoperitoneum resulting from an ectopic pregnancy